A 32 - year- old male psychiatric patient complains that he feels tremors on movement. He is on some medication and feels always thirsty and frequently has to urinate. The most likely drug he is taking is?
1. Valproic acid
2. Clozapine
3. Lithium
4. Risperidone

Correct answer: 3. Lithium

Explanation: Tremors and symptoms of nephrogenic diabetes insipidus are due to side effects of lithium administration that can occur at blood levels within therapeutic range. Clozapine is associated with sedation and agranulocytosis